The glycolysis is regulated by
1. Hexokinase
2. Phosphofructokinase
3. Pyruvate kinase
4. All of these

Correct answer: 4. All of these

Explanation: Regulation of glycolysis The three enzymes namely hexokinase (and glucokinase), phosphofructokinase and pyruvate kinase, catalysing the irreversible reactions regulate glycolysis. Hexokinase is inhibited by glucose 6-phosphate. This enzyme prevents the. accumulation of glucose 6-phosphate due to product inhibition. Glucokinase, which specifically phosphorylates glucose, is an inducible enzyme. The substrate glucose, probably through the involvement of insulin, induces glucokinase. Phosphofruclokinase (PFK) is the most Important regulatory enzyme in glycolysis. This enzyme catalyses the rafe limiting committed step. PFK is an allosteric enzyme regulated by allosteric effectors. ATP, citrate and H+ ions (low pH) are the most important allosteric inhibitors, whereas, fructose 2,6-bisphosphate, ADP, AMP and Pi are the allosteric activators Ref : Biochemistry by U. Satyanarayana 3rd edition Pgno : 250